A 25 yr old man presented with fever, cough, expectoration, and breathlessness of 2 months duration. Contrast enhanced computed tomography of chest showed bilateral upper lobe fibrotic lesions and mediastinum has enlarged necrotic nodes with peripheral rim enhancement. Which one of the following is the most probable diagnosis?
1. Sarcoidosis
2. Tuberculosis
3. Lymphoma
4. Silicosis

Correct answer: 2. Tuberculosis

Explanation: Ans. Tuberculosis